Initiator for self cure composite is:
1. Tertiary amine.
2. Benzoyl peroxide.
3. Methyl ether.
4. N, N dimethyl paratoludine.

Correct answer: 2. Benzoyl peroxide.